Pulsating varicose vein in a young adult is due to?
1. Arteriovenous fistula
2. Sapheno femoral incompetence
3. Deep vein thrombosis
4. Abdominal tumour

Correct answer: 1. Arteriovenous fistula

Explanation: Ans. is 'a' i.e., Arteriovenous fistula